ATP (Energy currency) has :
1. Ribose
2. Deoxyribose
3. Both
4. Dideoxyribose

Correct answer: 1. Ribose

Explanation: ATP contains Ribose sugar dATP contains deoxyribose